Bisphosphonates are used for all Except
1. Osteolytic bone metastases
2. Osteoporosis
3. Osteosclerosis
4. Pagets disease

Correct answer: 3. Osteosclerosis

Explanation: Uses of BisphosphonatesOsteoporosis (Postmenopausal, idiopathic and steroid-induced)Paget's diseaseHypercalcemia of malignancy Osteolytic bone metastasis(Refer: Mohindra's Fundamentals of Orthopedics, 2nd edition, pg no. 402)